Which of the following tendons has attachments on sustenticulum Tali
1. Tibialis Anterior
2. Tibialis Posterior
3. Flexer digitorum longus
4. Flexer Hallucis Longus

Correct answer: 2. Tibialis Posterior

Explanation: B i.e. Tibialis Posterior